Perinatal mortality rate includes
1. Deaths within first week of life only
2. Abortions, still births and deaths within first week of life
3. Deaths from 28weeks to within first week of life
4. Deaths within one month of life

Correct answer: 3. Deaths from 28weeks to within first week of life

Explanation: Perinatal mortality rate = Lare fetal deaths (28 weeks + of gestation) + postnatal deaths (first week) in a year / Live births in a year x 1000Park 23e pg: 562